The anterior guidance between maxillary and mandibular anterior teeth has a direct influence on the direction of
1. Tongue movement
2. Palatoglossus movement
3. Mandibular movement
4. Lip movement

Correct answer: 3. Mandibular movement